Which of the following statements about Yaws is not TRUE?
1. Spread by sexual transmission
2. Caused by T. pertenue
3. Has cross immunity with syphilis
4. Cannot be differentiated serologically from T. pallidum

Correct answer: 1. Spread by sexual transmission

Explanation: Yaws is a non veneral disease and has three modes of transmission: Direct contact - with the secretions from the infectious lesions Fomites - indirectly through the fomites and also earthen floor Vector - through flies and insects that feed on the lesions Sexual transmission, trans-placental and congenital transmission has not been established. Ref: Park Textbook of Preventive and Social Medicine, 19th Edition, Pages 283-284; Textbook of Microbiology By Ananthanarayan and Panicker, 7th Edition, Page 385